Practically all antineoplastic drugs can produce the following toxic effects except
1. Depression of leucocyte count
2. Cardiomyopathy
3. Mucositis
4. Oligozoospermia

Correct answer: 2. Cardiomyopathy

Explanation: GENERAL TOXICITY OF CYTOTOXIC DRUGS 1 )Bonemarrow :- Depression of bone marrow results in granulocytopenia, agranulocytosis, thrombocytopenia, aplastic anaemia. Infections and bleeding are the usual complications. 2) Lymphoreticular tissue Lymphocytopenia and inhibition of lymphocyte function results in suppression of cell mediated as well as humoral immunity. Because of action (1) and (2) + damage to epithelial surfaces, the host defence mechanisms are broken down - susceptibility to all infections is increased. 3)GIT:- Diarrhoea, shedding of mucosa, haemorrhages occur due to decrease in the rate of renewal of the gastrointestinal mucous lining. Drugs that prominently cause mucositis are-- bleomycin, actinomycin D, daunorubicin, doxorubicin, fluorouracil and methotrexate. Nausea and vomiting are prominent with many cytotoxic drugs. This is due to direct stimulation of CTZ by the drug. 4)Gonads:- Inhibition of gonadal cells causes oligozoospermia and impotence in males; inhibition of ovulation and amenorrhoea are common in females. Ref:- kd tripathi; pg num:-859